Classic mode of spread of gonococcus infection in PID is?
1. Through continuity
2. adjacent organs
3. through blood stream
4. Lymphatic and pelvic veins

Correct answer: 1. Through continuity

Explanation: The classic concept is that the gonococcus ascends up to affect the tubes through mucosal continuity and contiguity. This ascent is facilitated by the sexually transmitted vectors such as sperm and trichomonads.